The most common agent causing osteomyelitis in sickle cell disease patients?
1. Salmonella enteritidis
2. E.coli
3. Klebsiella
4. Enterococcus

Correct answer: 1. Salmonella enteritidis

Explanation: Salmonella Subspecies other than typhi (S. enteritidis, S. typhimurium)Facultative gram-negative rods, non-lactose-fermenting on EMB, MacConkey medium* Produces H2S, motile (unlike Shigella)* Speciated with biochemical reactions and serotyped with O, H, and Vi antigensDiseases:* Enterocolitis/gastroenteritis (second most common bacterial cause after Campylobacter): 6- 48-hour incubation; nausea; vomiting; only occasionally bloody, loose stools; fever; abdominal pain; myalgia; headache* Septicemia (S. enterica subsp. choleraesuis, S. enterica subsp. paratyphi, and S. enterica subsp. dublin): usually in very young or elderly when it occurs; endocarditis or arthritis complicates 10% of cases* Osteomyelitis: sickle cell disease predisposes to osteomyelitis; Salmonella is most common causal agent of osteomyelitis in sickle cell disease (not trait) patients (>80%).Ref: Ananthanarayan; 7th edition; Page no: 303